False about group discussion :
1. Ideally group should have 6 - 12 members
2. Very effective method of health communication
3. Does not influence on change in health attitudes and behavior
4. Allows free exchange of ideas and opinions

Correct answer: 3. Does not influence on change in health attitudes and behavior

Explanation: Group discussion can lead to change in health attitudes and behaviour.